A 25-year-old male presents with weakness, occasional vomiting hypotension, skin and mucous membrane pigmentation. The diagnosis can be best established by -
1. Metyrapone test
2. Basal plasma cortisol levle
3. 24- hour urinary 17-Ketosteroid
4. ACTH stimulation test

Correct answer: 4. ACTH stimulation test